Quadrungular septum is seen in which of the following?
1. Larynx
2. Nose
3. Cranium
4. Palate

Correct answer: 2. Nose

Explanation: Ans. is 'b' i.e., Nose "Cartilage of the septum, also known as the quandragular cartilage because it is roughly quadrilateral in shape - separates the nostrils".Medial nasal wall or Nasal septum* Nasal septum is the osseo - cartilaginous partition between the two halves of the nasal cavity.* Nasal septum consists of1) Columellar septum It is formed by columella containing the medial crura of alar cartilages united together by fibrous tissue.2) Membranous septum It consists of double layer of skin with no bony or cartilaginous support.3) Septum properThis forms the major portion of nasal spetum and consists of osteocartilagenous framework which is coverd by mucous membrane. Its constituents arei) Osseous part# The vomer# Perpendicular plate of ethmoid# Nasal spine of frontal bone# Rostrum and crest of sphenoid# Nasal crest of nasal bone# Nasal crest of palatine bone# Nasal crest of maxillary bone ii) Cartilaginous part# Septal (Quadrilateral or Quadrangular) cartilage.